Portal vein, hepatic artery and common bile duct are related to which of the following structure
1. Lesser omentum
2. Greater omentum
3. Splenorenal ligamnet
4. Gastrosplenic ligament

Correct answer: 1. Lesser omentum

Explanation: The lesser omentum (gastrohepatic omentum) is the double layer of peritoneum that extends from the liver to the lesser curvature of the stomach (hepatogastric ligament) and the first part of the duodenum (hepatoduodenal ligament). ref - BDC 6e vol2 pg 234